Catalase positive, beta-hemolytic Staphylococcus is
1. Staphylococcus aureus
2. Staphylococcus epidermidis
3. Staphylococcus saprophyticus
4. None

Correct answer: 1. Staphylococcus aureus

Explanation: Staphylococcus aureus is beta hemolytic, produce a sharply defined clear colorless zone of hemolysis on blood agar within which red cells are completely absent. Staphylococcus aureus is catalase positive. Catalase test: place a loopful of hydrogen peroxide on colonies on the nutrient agar. Prompt effervescence indicates catalase production. Ref: Textbook of Microbiology; Ananthanarayanan and Panicker; 10th Edition; Page no: 207